Which of the following are apoptosis assays?
1. Annexin V assay
2. TUNEL technique
3. Transglutaminase activity
4. All of the above

Correct answer: 4. All of the above

Explanation: All the 3 are assays for apoptosis. Other assays include ISNT, FRET etc.
ISNT - In Situ Nick Translation
FRET - Fluorescence Resonance Energy Transfer